Short acting glucocorticoid is ?
1. Fludrocortisones
2. Dexamethasone
3. Hydrocortisone
4. Aldostrone

Correct answer: 3. Hydrocortisone

Explanation: Ans. is 'c' i.e., Hydrocortisone Short-acting: Cortisol 8-12 hours Intermediate-acting: Prednisolone 18-36 hours Long-acting: 36-54 hours